All of the following factors normally increase the length of the ventricular cardiac muscle fibers, except:
1. Increased venous tone
2. Increased total blood volume
3. Increased negative intrathoracic pressure
4. Lying-to-standing change in posture

Correct answer: 4. Lying-to-standing change in posture

Explanation: When the person stands from a lying position, there is pooling of blood in the legs. This causes decrease in venous return and decrease in end diastolic volume (and length of ventricular cardiac muscle fibers).